Which of the following drugs does not cross the blood placental barrier:
1. Atropine
2. Glycopyrrolate
3. Physostigmine
4. Hyoscine hydrobromide.

Correct answer: 2. Glycopyrrolate

Explanation: Glycopyrrolate is a quaternary ammonium compound and is thus water-soluble and to penetrate BBB.